Thoughts in mind with rhyming rather than with meaning of thoughts -
1. Flight of ideas
2. Perseveration
3. Circumstantiality
4. Clang association

Correct answer: 4. Clang association

Explanation: In clange association, speech is directed by the sound of a word, rather than its meaning. Words have no logical connection; rhymic may dominate the verbal behavior.